Holstein Lewis sign6is related which nerve
1. Median
2. Radial
3. Ulnar
4. Axillary

Correct answer: 2. Radial

Explanation: Refer ebnezar 4th/e p 142 Radial nerve is the most commonly injured nerve in fracture shaft humerus It is particularly common in oblique fracture at the junction of middle and distal third bone